Which Thyroid Carcinoma is associated with MEN?
1. Follicular Carcinoma
2. Pappilary carcinoma
3. Medullary Carcinoma
4. Thyroid Lymphoma

Correct answer: 3. Medullary Carcinoma

Explanation: Ans. is 'c' i.e., Medullary Carcinoma Multiple Endocrine Neoplasia SyndromesMEN I (Wermer's syn.)MEN 2MEN 2A (Sipple Syn.)MEN 2B (Mucosal neuroma syn.)o Parathyroid hyperplasia or adenomao Islet cell hyperplasia, adenoma, or carcinomao Pituitary hyperplasia or adenomao Other less common manifestations;# foregut carcinoid, pheochromocytoma, subcutaneous or visceral lipomaso MTCo Pheochromocytomao Parathyroid hyperplasia or adenomao Cutaneous lichen amyloidosiso Hirschsprung diseaseo FMTCo MTCo Pheochromocytomao Mucosal and gastrointestinal neuromaso Marfanoid features